Prophylactic intracranial radiation is given in
1. Small cell carcinoma
2. Testicular carcinoma
3. Breast carcinoma
4. Gastric carcinoma

Correct answer: 1. Small cell carcinoma

Explanation: This aggressive form of lung cancer most commonly occurs in smokers. It usually starts in the breathing tubes (bronchi) and grows very quickly, creating large tumours and spreading (metastasising) throughout the body.
Symptoms include bloody phlegm, cough, chest pain and shortness of breath.
Treatment includes surgery (for small tumours) as well as chemotherapy, sometimes in combination with radiation therapy.